Powders of dental plaster and dental stone differ
mainly in:
1. Solubility
2. Shelf life
3. Chemical formula
4. Particle porosity

Correct answer: 4. Particle porosity